All of the following conditions of defence available to a doctor against allegation of negligence except
1. Medical maloccurrence
2. No fee for treatment charged
3. Therapeutic misadventure
4. Res Judicata

Correct answer: 2. No fee for treatment charged

Explanation: B i.e. No fee for treatment charged